The intra-abdominal pressure during laparoscopy should be set between:-
1. 5-8 mm of Hg
2. 10-15 mm of Hg
3. 20-25 mm of Hg
4. 30-35 mm of Hg

Correct answer: 2. 10-15 mm of Hg

Explanation: Laparoscopy Needle used for pneumoperitoneum veress needle Most commonly used gas: CO2 Flow of gas: 1L /min Intra-abdominal pressure: 12-15 mm Hg Trocar is inserted at or just below the umbilicus penetrating skin, superficial & deep fascia, fascia transversals & parietal peritoneum